All of the following is true about thoracic outlet syndrome except -
1. Adson's test is used for diagnosis
2. It may be caused by cervical rib
3. Pain, numbness and paraesthesia in the involved extremity occur
4. Upper trunks of the brachial plexus are commonly affected

Correct answer: 4. Upper trunks of the brachial plexus are commonly affected

Explanation: Ans. is 'd' i.e., Upper trunks of the brachial plexus are commonly affected Thoracic Outlet Syndromeo Is the collective name which includes -i) Cervical rib syndromeii) Scalenus anterior syndromeiii) Costoclavicular syndromeiv) Hyperabduction syndromev) Pectoralis minor syndromevi) First thoracic rib syndromeo The syndrome is caused by compression of the brachial plexus or subclavian vessels in the region of thoracic inlet. The symptoms may arise from neural, vascular or combined compressiono Neurological symptoms (are more common)# Compression of the brachial plexus usually affects its lower trunk (C8& Tl).# Symptoms are - Pain, paraesthesia and numbness usually in the finger and hands in the ulnar nerve distributiono Symptoms of Arterial Compression are seen less frequently in about 1/4 of the cases.# Symptoms are - Pain, numbness, paresthesia, coldness and weakness of the arm or hand. Raynauds phenomenon may also occur.# Venous symptoms are less common and include edema, venous distention, pain and cyanosiso Diagnostic tests or manoeuvres:1. Adsons test*2. Costoclavicular compressive test*3. Hyperabduction test.*